Tissue schizontocide which prevents relapse of vivax malaria -
1. Quinine
2. Primaquine
3. Pyrimethamine
4. Chloroquine

Correct answer: 2. Primaquine

Explanation: Ans. is 'b' i.e., Primaquine o Primaquine is the only tissue schizonticide to prevent relapse.